Which of the following genes is not related to pheochromocytoma associated syndromes?
1. NF-1 gene
2. RET proto oncogene
3. VHL gene
4. AIRE gene

Correct answer: 4. AIRE gene

Explanation: Pheochromocytoma associated syndromes Neurofibromatosis 1 NF1 gene MEN 2A and 2B RET proto-oncogene Von Hippel Landau VHL gene AIRE gene is responsible for Autoimmune poly-glandular syndrome type 1.